Which arthritis is common with uveitis?
1. RA
2. Ankylosing spondylitis
3. Still's disease
4. Reiter's disease

Correct answer: 2. Ankylosing spondylitis

Explanation: Uveitis is the most common extra-articular manifestation of AS, occurring in 20-30% of patients. The incidence is much higher in individuals who are HLA-B27 positive (84- 90%). Immune-mediated causes of uveitis Ankylosing spondylitis Behcet's disease Drug or hypersensitivity reaction Inflammatory bowel disease Multiple sclerosis Psoriatic arthritis Reactive arthritis Relapsing polychondritis Rheumatic fever Sarcoidosis Sclerosing cholangitis Systemic lupus Vogt-Koyanagi-Harada Syndrome